Antipsychotic drug associated with raised QT interval
1. Risperidone
2. Phenobarbitone
3. Fluoxetine
4. Midazolam

Correct answer: 1. Risperidone

Explanation: Anti-psychotic Drugs that prolong the QT interval and in some have been associated with torsades de pointes Clozapine-Anti-psychotic / Schizophrenia Felbamate-Anti-convulsant / Seizure Fosphenytoin-Anti-convulsant / Seizure Lithium-Anti-mania / bipolar disorder Quetiapine-Anti-psychotic / Schizophrenia Risperidone-Anti-psychotic / Schizophrenia Ziprasidone-Anti-psychotic / Schizophrenia